Which of the following is the predominant cell type in the intra-epithelial region of small intestinal mucosa?
1. Basophils
2. Plasma cells
3. B lymphocyte
4. T lymphocyte

Correct answer: 4. T lymphocyte

Explanation: T lymphocyte predominantly of cytotoxic phenotype (CD8+) constitute the predominant cell type in the intra epithelial region of the mucosa of intestine. The lamina propria consist of helper T cells (CD4+) and educated B cells. Ref: Robbins Pathologic Basis of Disease, 6th Edition, Page 804